Medical and surgical aspects of treatment are available for endometriosis. All of the following drugs are used in treatment of endometriosis, EXCEPT:
1. Progestins
2. Estrogen
3. Aromatase inhibitors
4. OCP

Correct answer: 2. Estrogen

Explanation: Medical treatment of endometriosis: Combination oral contraceptives have been standard first-line treatment for symptoms of endometriosis. Progestins also have been used to promote decidualization of the ectopic endometrial tissue. The levonorgestrel intrauterine system, which is approved for contraception, also has been used off label for this indication, as well as for menorrhagia. Stable GnRH agonists can suppress gonadotropin secretion and thus affect medical castration. Synthetic androgen that inhibits gonadotropin production feedback inhibition of the pituitary-ovarian axis. Inhibitors of aromatase are also useful for endometriosis. Ref: Schimmer B.P., Parker K.L. (2011). Chapter 66. Contraception and Pharmacotherapy of Obstetrical and Gynecological Disorders. In L.L. Brunton, B.A. Chabner, B.C. Knollmann (Eds), Goodman & Gilman's The Pharmacological Basis of Therapeutics, 12e.